External auditory meatus develops from
1. Dorsal part of 1st ectodermal cleft
2. Dorsal part of 2nd ectodermal cleft
3. Dorsal part of 3rd ectodermal cleft
4. Sixth branchial arch

Correct answer: 1. Dorsal part of 1st ectodermal cleft